Which is not a fibrous joint?
1. Sutures of the skull
2. First costochondral joint
3. Tooth socket
4. Inferior tibiofibular joints

Correct answer: 2. First costochondral joint

Explanation: ANSWER: (B) First costochondral joinREF: Gray's anatomy 39th edition page 103-104Classification of Joints(1) Synarthroses (bone - solid connective tissue - bone)Fibrous jointsSutures (Bone - Collagenous sutural ligament - Bone) e.g. Sutures of the skullSyndesmoses (Bone - Collagenous enterosseous ligament, membrane or cord - Bone) e.g. Inferior tibiofibular jointsGomphoses - (Bone - Complex collagenous periodontium - Dental cement) e.g. Tooth in its socketCartilaginous jointsSynchondrosis/Primary cartilaginous joints - (Bone Hyaline cartilage - Bone)e.gJoints between epiphysis and diaphysis of a growing long boneFirst chondrosternal jointCostochondral jointsSpheno-occipital jointsSymphysis/Secondary cartilaginous joints - (Bone - Hyaline cartilage - Fibrocartilaginous disc - Hyaline cartilage - Bone) Typically occur in the MEDIAN PLANE of the body e.g.Symphysis pubisManubriostemal joint Intervertebral joints between vertebral bodies(2) Diarthroses - (Synovial joints)Type of jointAxisMovementsExamplesPlane/GlidingjointUniaxialGlidingIntercarpal jointsIntertarsal jointsBetween articular processes of vertebraeHinge jointsUniaxialFlexion, ExtensionElbow jointsAnkle jointsInterphalangeal jointsPivot jointsUniaxialRotationMedian Adantoaxial jointSuperior & inferior radioulnar jointsCondylar jointsBiaxialFlexion, Extension, Limited rotationKnee jointsJoints between condyles of mandible and temporal boneEllipsoid jointsBiaxialFlexion, Extension, Abduction, Adduction, CircumductionWrist JointMetacarpopharyngeal jointAdantoaxial joints (lateral)Saddle jointsMultiaxialFlexion, Extension, Abduction, Adduction, Conjunct RotationStemocalvicular jointFirst carpometacarpal jointCalcaneocuboid jointBall & Socket JointsMuitiaxialFlexion, Extension, Abduction, Adduction, Circumduction, RotationShoulder jointHip JointTalocalcaneo-navicular joint